Hepatic adaptation is caused by which antituberculous drug?
1. INH
2. Rifambin
3. Pyrazinamide
4. Ethambutol

Correct answer: 1. INH

Explanation: Isoniazid sometimes cause asymptomatic transient elevation of aminotransferase levels termed hepatic adaptation. Ref: Harrison's Principles of Internal Medicine, 18th Edition, Page 1374.